Adrenaline, noradrenaline and dopamine act through
1. Single pass receptors
2. Four pass receptors
3. Seven pass receptor
4. Ligand gated channel

Correct answer: 3. Seven pass receptor

Explanation: C i.e. Seven pass - receptorCatecholamines (epinephrine, norepinephrine and dopamine) act through G protein coupled receptors (GPCRs), which span the cell membrane 7 times; hence also referred to as seven pass (seven helix) or serpentine receptors.* Catecholamines (adrenaline, noradrenaline& dopamine) act through G protein coupled receptors. al adrenargic catecholamine use phospholipid C(IP3 ?DAG) and az & adrenergic catecholamines use C-AMP (adenyl cyclase) second messenger system. * Hetrotrimeric GTP binding proteins (G? proteins) are cell membrane proteins that have seven trans membrane segments that loop (pass) in & out of cell membraneQ. (serpentine protein)* Cytoplasmic tail is coupled to GTP that has 3 part (trimeric) - a, 13, y subunits. Ligands for GPCRs NeurotransmittersTachykininsArachidonic Acid- AdrenalineQ- NoradrenalineQ- DopamineQ- Neurokinin A- Neuropeptide K- Substance Pderivatives- Thromboxane A2- 5-Hydroxytryptamine Other Ligands- HistaminePeptides- Endothelins- Acetylcholine (ACH)- Angiotensis II- Platelet activating factor- Adenosine- Arginine- Cannabinoids- Opioidsvasopressin- OdorantsGlycoprotein - Hormones- Oxytocin- Light- LH, FSH, hCG- TSH- VIP, PTH, GRP,TRH- Tastants